In which of the following materials, moisture loss has to be taken care of?
1. Alginate impression
2. Polyvinyl siloxane
3. Both
4. None

Correct answer: 1. Alginate impression

Explanation: Alginate impressions can distort quickly if they are allowed to gain or lose moisture, so the impression is wrapped in wet paper towels to serve as a humidor.
Preoperative PVS impressions do not need to be wrapped. The preoperative impression is placed aside for later use in forming the temporary restoration.

Sturdevant operative dentistry 7th Edition, Page No:120